Intravenous regional anaesthesia is contraindicated in
1. Sickle cell disease
2. Thalassemia
3. Hereditary spherocytosis
4. G6PD deficiency

Correct answer: 1. Sickle cell disease

Explanation: As tourniquet application can precipitate sickling and hypoxia, IVRA is contraindicated in sickle cell anemia.